Sodium content in normal saline and Ringer lactate respectively are
1. 154 meq / L; 130 meq / L
2. 140 meq / L; 109 meq / L
3. 150 meq / L; 136 meq / L
4. 134 meq / L; 150 meq / L

Correct answer: 1. 154 meq / L; 130 meq / L

Explanation: Sodium Content in
a) Normal saline = 154 meq / L
b) Ringer lactate = 130 meq / L